Mercedes Benz sign is seen in
1. Pneumoperitoneum
2. Ileocecal TB
3. Gall stones
4. Acute pancreatitis

Correct answer: 3. Gall stones

Explanation: Seagull or mercedes Benz or crow feet sign - Gall stones.